All except one is true regarding Suboccipital triangle
1. Semispinalis capitis forms roof of suboccipital triangle
2. Rectus capitis posterior major and minor form boundaries of suboccipital triangle
3. Posterior atlantooccipital membrane forms floor of the triangle
4. It contains 3rd part of vertebral artery

Correct answer: 2. Rectus capitis posterior major and minor form boundaries of suboccipital triangle

Explanation: Rectus capitis posterior minor doesn’t form boundary of suboccipital triangle, even though it is seen in this region.